Proptosis is not seen in
1. Grave's disease
2. Sarcoidosis
3. Pituitary adenoma
4. Myxoedema

Correct answer: 4. Myxoedema

Explanation: Ans. is 'd' i.e., Myxoedema Proptosis occurs in thyrotoxicosis not in hypothyroidism Choices Logic Grave's Cytokines appear to play a major role in thyroid-associated ophthalmopathy There is infiltration of the extraocular muscles by activated T cells; the release of cytokines such as IFN-alpha and TNF results in fibroblast activation and increased synthesis of glycosaminoglycans that trap water, thereby leading to characteristic muscle swelling Sarcoidosis Approximately 20%, of patients with ophthalmic findings of sarcoid have soft tissue involvement of the orbit or lacrimal gland and present as a mass lesion with proptosis, ptosis, or ophthalmoplegia. Pituitary adenoma Macro-adenoma associated with pituitary apoplexy can lead to proptosis.